A 20-yrs-old man suffers an injury to the posterior urethra. After appropriate initial management and follow-up care of this injury, the most likely late complication is:
1. Ascending urinary tract infection
2. Retrograde ejaculation
3. Sterility
4. Urethral stricture

Correct answer: 4. Urethral stricture

Explanation: Initial management involves passage of catheters through the urethral meatus and through an incision in the bladder.
After this has been accomplished, a Foley catheter is threaded through the urethra into the bladder and left in situ. Urethral healing occurs as the hematoma resolves, but a posterior urethral stricture is not uncommon. If the stricture is not managed appropriately, ascending urinary tract infection may result.